A 4 year old child presents with acute watery diarrhea and abdominal cramps. Stoolmicroscopy reveals trophozoites with falling leaf motility. The etiological agent is ?
1. Entamoeba hisioiutics
2. Giardialamblia
3. Trichomonastenax
4. Balantidium coli

Correct answer: 2. Giardialamblia

Explanation: Ans. is 'b' i.e., Giardia lamblia o In acute giardiasis trophozoites show the typical "falling-leaf' motility1 in wet mount examination of faeces. Diagnosis of giardiasis-o The gold-standard for diagnosis of giardiasis is microscopic demonstration of trophozoite or cyst or both in faeces.o In acute giardiasis trophozoites show the typical "falling-leaf' motility' in wet mount examination of faeces,o The characteristic shape and two nuclei are seen after staining a thin faecal smear with Field's stain,o Trophozoites are also present in duodenal fluid. Duodenal fluid can be either aspirated or obtained by ''Stringtest" (Enterotest) for examination.o Cysts of G. lamblia are often shed in the faeces in "Showers", meaning that many cytes may be passed on a day and none on the other. Hence, to detect cyst-passers multiple-sample are to be examined, preferably following concentration techniques like zinc sulphate floatation or formal detergent concentration technique.